Odds ratio is related to?
1. Relative risk
2. Incidence
3. Prevalance
4. Attributable risk

Correct answer: 1. Relative risk

Explanation: .
odd's ratio is a measure of the strength of the association between risk factor and outcome.it is closely related to relative risk.odd's ratio is being investigated based on three assumptions mainly ,the disease being investigated must be rare,the cases must be represntative of those with disease and the controls must be representatives of those without disease.

ref;park's textbook of preventive and social medicine,22 nd edition,pg no 70